Paradoxical undressing occurs with -
1. Heatstroke
2. Hypothermia
3. Hyperthermia
4. Hyperpyrexia

Correct answer: 2. Hypothermia